Infection spreading via lymphatics from the lower lip first enter the blood stream at the
1. Brachiocephalic vein
2. Inferior labial vein
3. Inferior labial artery
4. Pterygoid venous plexus

Correct answer: 1. Brachiocephalic vein